Who gave the concept of well adapted crown?
1. Winkler
2. Spedding
3. Webber
4. Wilkinson

Correct answer: 2. Spedding

Explanation: - The smallest crown that completely covers the preparation should be chosen.
- Spedding has advocated adhering to two important principles that will help consistently to produce well-adapted stainless steel crowns.
a. The operator must establish the correct occluso-gingival crown length; and
b. The crown margins should be shaped circumferentially to follow the natural contours of the tooth’s marginal gingivae.